The treatment of choice for a case of congestive failure with hypertension is -
1. ACE inhibitors
2. alpha - blockers
3. Cal. channel blockers
4. Nitrates

Correct answer: 1. ACE inhibitors

Explanation: Ans. is 'a' i.e., ACE inhibitors